Primary complex of M bovis involves:
1. Tonsil and lung
2. Tonsil and intestine
3. Tonsil and skin
4. Skin and Intestine

Correct answer: 2. Tonsil and intestine

Explanation: Ans. is. 'b' i. e., Tonsil and intestine